Infant mortality rate includes all of the following except
1. Early neonatal deaths
2. Late neonatal deaths
3. Post neonatal deaths
4. Stillbirths

Correct answer: 4. Stillbirths

Explanation: Ans. d. Stillbirths